Fetal nuchal skin thickness is useful in detecting:
1. Fetal infection
2. Down syndrome
3. Anencephaly
4. Hydrops fetalis

Correct answer: 2. Down syndrome

Explanation: Nuchal thickness should be less than 3 mm in 12 to 13 weeks It should be < 6 mm after 14 weeks and it is called as nuchal fold Nuchal thickness/fold > 6 mm after 14 weeks is suggestive of down's syndrome